Allergic asthma and rhinitis are related to the chemokine receptor:
1. CCR1
2. CCR2
3. CCR3
4. CCR5

Correct answer: 3. CCR3

Explanation: CCR1 is associted with rheumatoid arthritis and multiple sclerosis. CCR2 is related to atherosclerosis, rheumatoid arthritis and multiple sclerosis, and type 2 diabetes mellitus. CCR3 is connected to allergic asthma and rhinitis. CCR5 is a HIV 1 co receptor and is connected to transplant rejection.Ref: Harrisons principles of internal medicine, 18th edition, Page: 2663.